Trauma to neck of humerus, nerve damaged-
1. Racial
2. Ulnar
3. Median
4. Axillay

Correct answer: 4. Axillay